For accurate replica production of intra and extraoral tissues, impression materal should be transform into a rubbery or rigid solid in the mouth within?
1. 2 minutes
2. 7 minutes
3. 10 minutes
4. 15 minutes

Correct answer: 2. 7 minutes